The epiblast forms which of the following germ cell layers
1. Ectoderm
2. Ectoderm ,Mesoderm, Endoderm
3. Mesoderm, Endoderm
4. Ectoderm , Mesoderm

Correct answer: 2. Ectoderm ,Mesoderm, Endoderm

Explanation: Epiblast forms all the three germ cell layers - Ectoderm,Mesoderm, Endoderm. After the formation of the primitive streak,the epiblast cells migrate towards the primitive streak. When they arrive at the primitive streak, they become flask shaped, detach from the epiblast and slip beneath the primitive streak. This inward movement is called as Invagination. Some of these cells displace the hypoblast to form embryonic Endoderm ( which is the first layer to form) Some of the invaginated cells then start occupying the space between the epiblast and the newly formed Endoderm to form Mesoderm. Cells remaining in epiblast form Ectoderm. Ref: Indersingh textbook of Embryology 11 the edition pg 56.